Anaphylactic shock is caused by w hich type of hypersensitivity reaction?
1. I
2. II
3. III
4. IV

Correct answer: 1. I

Explanation: Ans. is 'a' i.e., IAnaphylactic shock is caused by type 1 Hypersensitivity reaction.